POSCO act related to
1. Consumer protection
2. Child Protection
3. Women Protection
4. Cigarette Smoking

Correct answer: 2. Child Protection

Explanation: The Protection of Children from Sexual Offences (POCSO) Act, 2012 deals with sexual offences against persons below 18 years of age, who are deemed as children. The Act for the first time defines "penetrative sexual assault", "sexual assault" and "sexual harassment". The Act incorporates child-friendly procedures for reporting, recording, investigation and trial offences. The Act provides for stringent punishments which have been graded as per the gravity of the offence.